The dose of betamethasone in pregnant women to prevent development of respiratory distress syndrome is:
1. 6 mg
2. 12 mg every 24 hours for 2 doses
3. 6 mg every 12 hours for 4 doses
4. 4 mg stat

Correct answer: 2. 12 mg every 24 hours for 2 doses

Explanation: Ans. B. 12mg every 24 hours for 2 dosesAdministration of antenatal steroids to mothers in preterm labor (<35. Weeks) has been a major breakthrough in the management of RDS. They reduce risk of RDS < intraventricular haemorrhage and mortality in preterm neonates. Treatment should consist of either two 12mg doses of betamethasone given intramuscularly 24 hours apart or four 6mg doses of dexamethasone administered intramuscularly every 12 hours